For high pressure storage of compressed gases cylinders are made up of.
1. Molybdenum steel
2. Iron + Mo
3. Steel + Cu
4. Cast iron

Correct answer: 1. Molybdenum steel

Explanation: A i.e. Molybdenum Steel